Denominator of crude birth rate is
1. Number of death children
2. Number of living children
3. Mid year population
4. Total number of crude birth

Correct answer: 3. Mid year population